Parvocellular pathway carries signal for detection of
1. Color contrast
2. Luminous contrast
3. Temporal frequency
4. Saccadic eye movements

Correct answer: 1. Color contrast

Explanation: From the Lateral geniculate Nucleus (LGN), a magnocellular pathway (from layers 1 and 2) and a parvocellular pathway (from the rest of the layers) project to the visual cortex. Parvocellular Pathway Magnocellular pathway Receive input entirely from type X retinal ganglion cells, trasmit color. Formed by Y ganglion cells, project to magnocellular layers of LGN Convey accurate point-to-point spatial information Color blind, transmitting only black- and white information Terminate in layer 4 C of primary visual cortex Terminate in layer 4 C of primary visual cortex Moderate velocity of conduction Rapidly conducting pathway Carries signals for color vision, texture, shape , and fine details Carrie signals for detection of movement, depth, and flicker Ref: Guyton and Hall 13th edition Pgno: 663